Suspended animation is seen in all EXCEPT:
1. Drowning
2. Electrocution
3. Throttling
4. Hypothermia

Correct answer: 3. Throttling

Explanation: Ans. C i.e. Throttling